In WHO 'Road to health card' the upper reference line represents:
1. 80th percentile for boys
2. 50th percentile for girls
3. 80th percentile for girls
4. 50th percentile for boys

Correct answer: 4. 50th percentile for boys

Explanation: 50th percentile for boys. The Indian growth chart is having 4 reference curves. The topmost curve corresponds to 80 % of the median of the WHO reference standard. The lower lines represent 70 %, 60 %, 50 % of that standard. WHO growth chart is having 2 reference curves. The upper reference curve represent the median (50'" percentile) for boys and the lower reference curve the 3'" percentile for girls. The space between the two growth curves is called as road to health. This will include the zone of normality.